Commonly used long bone for identification -
1. Femur
2. Radius
3. Ulna
4. Humerus

Correct answer: 1. Femur

Explanation: The best long bone for identification is femur. Ref: K.S.Narayan Reddy's synopsis of Forensic Medicine and Toxicology 29 th edition Chapter 4 page,43,45.